False about Japanese encephalitis is-
1. Transmitted by Culex mosquitoes
2. Overhead tanks serve as breeding site
3. Pigs are amplifiers
4. Primary dose of vaccine consists of two doses

Correct answer: 2. Overhead tanks serve as breeding site

Explanation: Culx tritaeniorhynchus, C. vishnuii, C gelidus bread in
Irrigated rice fields (most important)
Shallow ditches
Pools